Pressure on carotid sinus cause:
1. Hyperapnea
2. Reflex bradycardia
3. Tachycardi
4. Dyspnea

Correct answer: 2. Reflex bradycardia

Explanation: B i.e. Reflex bradycardia